To prevent pressure ulcers, which intervention should be included in the plan of care?
1. Vigorously massage lotion into bony prominences
2. Post a turning schedule at the patient's bedside
3. Turn and re-position the patient at least once every 8 hours
4. Slide the patient, rather than lifting, when turning

Correct answer: 2. Post a turning schedule at the patient's bedside

Explanation: The pathogenesis of pressure sores is local tissue pressure above that of perfusion pressure produces ischemic necrosis that is directly proportional to the duration and degree of pressure. Muscle and fat are more susceptible to pressure than skin. Bed-bound patient should be turned at least every 2 hours(not every 8 hours), with the wheelchair-bound patient being taught to lift themselves off their seat for 10 seconds every 10 minutes. A turning schedule with a signing sheet will help ensure that the patient gets turned and, thus, help prevent pressure ulcers.